Which MRI sequence is based on anisotropic movements?
1. DWI
2. SWI
3. DTI
4. FLAIR

Correct answer: 3. DTI

Explanation: Anisotropy- Property of being directionally dependent, which implies different properties in different directions, as opposed to isotropy. DTI- Diffussion tensor imaging/tractography is based on Anisotropic movements DWI - Diffusion weighted imaging is based on Brownian Movements Functional MRI - Is based On BOLD(Blood oxygenation level dependent) imaging